Stimulus Response Theory (SR theory) is also known as:
1. Physical Restraint
2. Aversive conditioning
3. Behaviour shaping
4. Tender Love and Care (TLC)

Correct answer: 3. Behaviour shaping